Carriers not seen in ?
1. Rabies
2. Typhoid fever
3. Polio
4. Malaria

Correct answer: 1. Rabies

Explanation: Ans. is 'a' i.e., Rabies